Which of the following is not a function of primary health care?
1. Medical care
2. MCH including family planning
3. Safe water supply and basic sanitation
4. Health insurance

Correct answer: 4. Health insurance

Explanation: 8 essential components of primary health care are1)Education concerning prevailing health problems and the methods of preventing and controlling them2)Promotion of food supply and proper nutrition3)An adequate supply of safe water and basic sanitation4)Maternal and child health care, including family planning5)Immunization against major infectious diseases6)Prevention and control of locally endemic diseases7)Appropriate treatment of common diseases and injuries8)Provision of essential drugsPark 23e pg: 891